Absolute contraindication for Transvaginal sonography
1. Placenta previa
2. Imperforate hymen
3. Abruptio placenta
4. Abnormal uterine bleeding

Correct answer: 2. Imperforate hymen

Explanation: Imperforate hymen and patient refusal are the only absolute contraindications for Transvaginal sonography.